After an operation on femur bone, chest X-ray shows widespread mottling throughout the lung field like a snowstorm. It is diagnostic of
1. Fat embolism
2. Shock lung
3. Bronchopneumonia
4. Atelectasis

Correct answer: 1. Fat embolism

Explanation: A i.e. Fat embolsm